Quick Reduction of blood pressure is done in
1. Cerebral infarct
2. Hypertensive encephalopathy
3. Myocardial infarction
4. Any patient with hypertension

Correct answer: 2. Hypertensive encephalopathy